Staphylococcus causes A/E –
1. Scarlet fever
2. TSS
3. Carbuncle
4. Sycosis barbae

Correct answer: 1. Scarlet fever

Explanation: Important skin and soft tissue infections caused by staph aureus are:- Impetigo (bullous and contagious), Ecthyma, Folliculitis, Carbuncle, furuncle, cellulitis, surgical wound infection, mastitis, Hidradenitis suppurative (Note -3 sycosis barbae means chronic folliculitis of beards hair follicle).
Toxic shock syndrome is a toxin-mediated illness of staphylococcal infection.